Reynolds Braude phenomenon is seen in -
1. Candida albicans
2. Candida psittaci
3. Histoplasma
4. Cryptococcus

Correct answer: 1. Candida albicans